Which NSAID undergoes enterohepatic circulation -
1. Aspirin
2. Phenylbutazone
3. Piroxicam
4. Ibuprofen

Correct answer: 3. Piroxicam

Explanation: Ans. is 'c' i.e., Piroxicam o Piroxicam is rapidly and completely absorbed, metabolized in liver by hydroxylation and glucoronide conjugation excreted in urine and bile and undergoes enterohepatic circulation. Hence, it has a long plasma VA of nearly 2 days.